Which is a causative organism for malignant ot externa
1. Virus
2. Bacteria
3. Fungi
4. Protozoa

Correct answer: 2. Bacteria

Explanation: Ans. (b) BacteriaRef: Dhingra's ENT 5th ed. 157-58* Malignant otitis externa is caused by pseudomonas infection in elderly, diabetics & patients on the immune- compromised drugs .* Early manifestation resembles diffuse otitis externa. Patients have severe pain & appearance of granulation in meatus.Infectious Etiology of Ear CanalBacterialFungalViral* Localized otitis externa* Diffuse otitis externa* Malignant otitis externa* Otomycosis* Herpes zoster oticus* Otitis externa hemorrhagica